Acantholytic cells in blister cavity ?
1. Pemphigus
2. Bullous pemphigoid
3. Epidermolysisbullosa
4. Dermatitis herpetiformis

Correct answer: 1. Pemphigus

Explanation: Ans. is 'a' i.e., Pemphigus Important Tzank smear finding of bullous lesions VZV and HSV infection --> Multinucleated giant cells Pemphigus --> Acontholytic cells Pemphigoid --> Predominantly eosinophils